Anal cancer is associated with
1. Human papilloma virus
2. EBV
3. HTLV-1
4. Polyoma virus

Correct answer: 1. Human papilloma virus

Explanation: Ans. (a) Human papilloma virusRef: Bailey & Love 26th ed. /1266* The development of anal cancer is associated with infection by human papilloma virus.* The infection may lead to:# Anal warts (condyloma acuminata)# Anal intraepithelial neoplasia# Squamous cell carcinoma.* The risk for anal cancer is increased among homosexual males.* Anal cancer risk is increased in both men and women with AIDS, because of their immunosuppressed state